Best treatment of cystic hygroma is?
1. Radiotherapy
2. Sclerotherapy
3. Surgical excision
4. Chemotherapy

Correct answer: 3. Surgical excision

Explanation: Ans. (c) Surgical excisionRef: Schwartz 9th ed ch-39